Parakeratosis is
1. Premature and abnormal keratinization
2. Increased formation of keratin
3. Nucleated keratinocytes in stratum corneum
4. Elongated rete ridges

Correct answer: 3. Nucleated keratinocytes in stratum corneum

Explanation: Normally nucleus will be lost in keratinocytes when they reach stratum corneum.
Presence of nucleated keratinocytes in stratum corneum is seen in psoriasis because of decrease in transit time - termed as " parakeratosis"